Which of the following is the best parameter to assess fluid intake in. Polytrauma patient
1. Urine output
2. Blood pressure
3. Pulse
4. Pulse oximetry

Correct answer: 1. Urine output

Explanation: The urine output is an important clinical parameter of renal function and blood volume status, especially in critically ill multiple trauma patients. In the present study, the minute-to-minute urine flow rate and its variability were analyzed in hypotensive multiple trauma patients during the first 6 h of their ICU stay. It is used to assess the tissue perfusion